Plasmodium falciparum affects all organs except
1. Lung
2. Liver
3. Kidney
4. Heart

Correct answer: 4. Heart

Explanation: Major complications occur in severe falciparum malaria which may have manifestations of cerebral malaria (coma), hypoglycemia, renal impairment, severe anemia, hemoglobinuria, jaundice, pulmonary edema, and acidosis. Ref: Harsh Mohan - Textbook of Pathology, 6th Edition.page no.189